The major mineral in the cell membrane is:
1. Cholesterol
2. Calcium
3. Sodium
4. Phosphorus

Correct answer: 4. Phosphorus

Explanation: Phosphorus is the major mineral in cell membrane It is present in the form of phospholipid